All are true about candida except ?
1. Pseudohyphae seen
2. Produce chlamydospore
3. It is a mould
4. It is a dimorphic fungus

Correct answer: 3. It is a mould

Explanation: Ans. is 'c' i.e., It is a mould Candida Candida is a yeast like fungus (not mould). Candida albicans is the most common cause of mucosal candidiasis. All candida species pathogenic for humans are also encountered as commensals of humans, particularly in the mouth, stool and vagina. They grow rapidly on simple media as oval budding cells at 25deg to 37degC. In tissue, both yeasts and pseudohyphae are present. Candida albicans is differentiated by other candida : It forms true hyphae (mycelia) or germ tubes when grown in serum. It forms thick walled large spores called chlamydospores when grown in corn meal agar. It is dimorphic. Remember - Candida albicans can produce yeast, true hyphae and pseudohyphae. A rapid method of identifying C. albicans is based on its ability to form germ tubes within two hours when incubated in human serum at 37degC Reynolds - Braude phenomenon ( Also known as germ tube test)